The eruption are of maxillary permanent lateral incisor is:
1. 8-9 years
2. 6-7 years
3. 10-11 years
4. 8-9 months

Correct answer: 1. 8-9 years